Which of the following is used for room sterilization?
1. Formaldehyde
2. Iodine
3. Lime
4. Ethylene oxide

Correct answer: 1. Formaldehyde

Explanation: Ans: a (Formaldehyde) Ref: Park, 19th ed, p. 110For room sterilization disinfectants used are:* Chlorine preparations that leave 25 ppm or more chlorine* Formaldehyde at 1 % or more* Phenolic disinfectants e.g., cresol 2.5%All these have a contact period of 4 hours before final washing. When fumigation is required gas most commonly used is formaldehyde. The room is kept closed for 6-12 hours to allow disinfection.Ethylene oxide: Heat sensitive articles may be sterilized at 55-60degC by ethylene oxide which kills bacteria, spores (tetanus spores) and also viruses.Descending order of resistance to sterilization is:PrionsBacterial sporeMycobacteriumNon lipid or small virusesFungiVegetative bacteriaLipid or medium size viruses* Most resistant to sterilization is prions (AIPGMEE 08).* Least resistant to sterilization is lipid or medium size viruses.